True about vertebral artery :
1. Enter skull through condylar canal
2. Branch of Internal carotid artery
3. Branch of subclavian artery
4. All

Correct answer: 3. Branch of subclavian artery

Explanation: C i.e. Branch of subclavian artery